All are features of seronegative spondyloarthropathies except -
1. Uveitis
2. PA factor positive
3. HLA-B27 positive
4. Occur in young age

Correct answer: 2. PA factor positive

Explanation: Ans. is 'b' i.e., PA factor positive Seronegative spondvloahropathies The seronegative spondyloarthropathies are a group of disorders that share certain clinical features and genetic associations. The word seronegative referes to the absence of rheumatoid factor in this group of disorders. The seronegative spondyloarthropathies include ? Ankylosing spondylitis Reactive arthritis --> Reiter syndrome and enteritis associated arthritis Psoriatic arthritis Arthritis associated with inflammatory bowel disease, i.e. enteropathic arthritis Features of seronegative spondyloarthropathies Onset usually before 40 years Absence of RA factor HLA - B27 positive Presence of uveitis